Which is FALSE regarding antiphospholipid antibody syndrome (APLA)?
1. >=2 Unexplained consecutive spontaneous abortions in > 10 weeks of gestation
2. >=3 Unexplained consecutive spontaneous abortions in < 10 weeks of gestation
3. >= 1 unexplained deaths of a morphological normal fetus >= 10 weeks of gestation
4. >=1 Premature births of morphological normal neonate < 34 weeks of gestation

Correct answer: 1. >=2 Unexplained consecutive spontaneous abortions in > 10 weeks of gestation

Explanation: Option A: >=3 Unexplained consecutive spontaneous abortions in > 10 weeks of gestation Option B: Yes ,>=3 Unexplained consecutive spontaneous abortions in > 10 weeks of gestation option C: >= 1 unexplained deaths of a morphological normal fetus >= 10 weeks of gestation,is correct Option D: >=1 Premature births of morphological normal neonate < 34 weeks of gestation,is correct APLA syndrome- C/F- recurrent thromboses, repeated miscarriages, cardiac valve vegetations, and thrombocytopenia. Fetal loss- antibody-mediated interference with the growth and differentiation of trophoblasts, leading to a failure of placentation. Diagnosis Criteria for APLA Syndrome Chapel hill classification :